T4 cells recognizes antigen in association with all of the following EXCEPT:
1. Major histocompatibility factor/ MHA-I
2. MHA-II
3. HLA-DR
4. HLA-DZ

Correct answer: 1. Major histocompatibility factor/ MHA-I

Explanation: Ans. A i.e. Major Histocompatility factor/ MHA-I HLA complex of genes are: HLA-A, B, C (Class I) HLA-D, DR, DQ and DP (class II) CD8 (previously known as T8) molecule is present on suppressor and cytotoxic cells. They recognize antigen by MHC class-I molecule.